Hypocalcemia is characterized by all except
1. Numbness and tingling of circumoral region
2. Hyperactive tendon reflexes
3. Shortening of Q-T interval in ECG
4. Carpopedal spasm

Correct answer: 3. Shortening of Q-T interval in ECG

Explanation: Widening of Q-T interval in ECG is seen in hypocalcemia.Perioral numbness, Carpopedal spasm, tetany and hyperactive tendon reflexes are noted.Trousseau sign, Chovstek's sign elicit latent tetany.